The commonest cause of recurrent shoulder dislocation is -
1. Shallow glenoid labrum
2. Bankart's lesion
3. The weakness of subscapularis muscle
4. Injury to humeral head

Correct answer: 2. Bankart's lesion